Maximum stridor is seen in -
1. Unilateral incomplete paralysis
2. Bilateral incomplete paralysis
3. Unilateral complete paralysis
4. Bilateral complete paralysis

Correct answer: 2. Bilateral incomplete paralysis